Gallows traction is used in management of fracture shaft ?
1. Femur
2. Tibia
3. Humerus
4. Ulna

Correct answer: 1. Femur

Explanation: Ans. is 'a' i.e., Femur Gallows traction is used for treatment of fracture shaft femur, in infants and children < 2 yrs of age. Fracture shaft femur in infant and young children It is published that upto one half of infants and young children who sustain femur fractures are victims of child abuse and child abuse occurs in 50 - 80% of children (< 2 years of age) with femoral fracture. Other causes of fracture are osteogenesis imperfecta (blue sclera, hearing loss, multiple fracture), bone tumors (eosinophilic granuloma, aneurysmal bone cyst). Fracture heals within 2 weeks in infant and children upto 2 years of age. Treatment depends upon the age of the patient : ? 1) Conservative : - It is the treatment of choice in children. 0-2 yeas :- Plaster spica or modified Bryant or Gallow's traction or pavllic harness (< 6 month of age). 2-10 years : - Split Russel traction 10-15 years : - 90-90deg femoral skeletal traction. 2) Surgical Surgery is done less commonly in children. It is indicated in older children when closed reduction by conservative treatment is not possible. Intramedullar titanium elastic nailing is the surgery of choice.